For which parasite modified ZN stain is used:
1. Isospora
2. Microsporidia
3. Plasmodium
4. Echinococcus

Correct answer: 1. Isospora

Explanation: Ans. a. Isospora